A 1 month old boy is refereed for failure to thrive. On examination, he shows feature of congestive failure. The femoral pulses are feeble as compared to branchial pulses. The most likely clinical diagnosis is
1. Congenital aortic stenosis
2. Coarctation of aorta
3. Patent ductus arteriosus
4. Congenital aortoiliac disease

Correct answer: 2. Coarctation of aorta

Explanation: In coarctation of aorta there will be radiofemoral delay. Ref : Ghai essential of pediatrics, eighth edition, p.no:432